A 20-year-old male presents with behavioural disturbances, extrapyramidal symptoms and liver damage. Diagnosis?
1. Huntington's disease
2. Wilson's disease
3. Parkinson's disease
4. Hemochromatosis

Correct answer: 2. Wilson's disease

Explanation: Davidson's principles. 

In Wilson's disease, the organs more affected are liver, basal ganglia, eyes, kidney, skeleton.
Hepatic disease occurs predominantly in children and early adolescents. Neurological damage caused nasal ganglia syndromes and dementia.